Carcinoid syndrome produces valvular disease primarily involving
1. Pulmonary valves
2. Tricuspid valves
3. Mitral valve
4. Aortic valve

Correct answer: 2. Tricuspid valves